All the following are parts of hind brain except
1. Pons
2. Medulla
3. Cerebellum
4. Diencephalon

Correct answer: 4. Diencephalon

Explanation: Ans d) : DiencephalonHind brain includes - cerebellum, pons, and medullaForebrain - Largest part of braincerebrumthalamushypothalamuslimbic systemRemember Brain stem includes Pons, medulla & midbrainFew more points:1. Prosencephalon - Telencephalon - Cerebral cortex & Corpus striatum- Diencephalon - Thalamus, hypothalamus, epithalamus, subthalamus2. Mesencephalon - Superior& inferior colliculi3. Rombencephalon - Metencephalon - Pons & cerebellum- Myelencephalon - Medulla & spinal cord